All of the following are seen in inflammatory polyarthritis, except -
1. New bone formation
2. Spontaneous flare
3. Increased ESR
4. Morning stiffness more than one hour

Correct answer: 1. New bone formation